Quod Hanc means
1. Passive partner in sexual intercourse
2. Women having high sexual desire
3. Sexual partner in pedophilia
4. Male impotent to particular woman

Correct answer: 4. Male impotent to particular woman

Explanation: This is a very interesting concept When males comes with impotence the history has to be obtained from the patient to rule out wheather it is organic or psychogenic erectile dysfunction Certain points in history helps us to confirm that we are dealing with a case of psychogenic impotence The history is mainly * Early morning erection * Erection when not needed * Erection during masturbation * Erection when having sexual relationship with other partners now when coming back to the question there are certain people who can maintain erectio only with certain partners but could not maintain erection with other partners called as impotence quoad hunc another question that asked under this heading is Madonna- putana complex * given by Freud * These men can maintain erection with women whom they consider as degraded Ref.Kaplon and sadock, synopsis of psychiatry, 11 th edition, pg no. 584